Anti CD25 antibody among the following is
1. Muromonab
2. Daclizumab
3. Adalimumab
4. Transtuzumab

Correct answer: 2. Daclizumab

Explanation: IL-2 receptor antagonist The CD-25 molecule is expressed on the surface of immunologically activated, but not resting T-cells. It acts as a high affinity receptor for IL-2 through which cell proliferation and differentiation are promoted. Some anti CD-25 antibodies have been developed as IL-2 receptor antagonist to specifically arrest the activated T-cells. 1)Daclizumab It is a highly humanized chimeric monoclonal anti CD-25 antibody which binds to and acts as IL-2 receptor antagonist. Combined with glucocorticoids, calcineurin antagonists and/or azathioprine/MMF, it is used to prevent renal and other transplant rejection reaction. The plasma t 1/2 of daclizumab is long (3 weeks), and it has also been used in combination regimens for maintenance of graft. 2)Basiliximab This is another anti CD-25 antibody with higher affinity for the IL-2 receptor, but shorter plasma t 1/2 (1 week). Ref:- kd tripathi; pg num:-884